Which of the following hepatitis virus can be cultured in vitro?
1. HAV
2. HBV
3. HDV
4. HCV

Correct answer: 1. HAV

Explanation: Hepatitis A virus is a nonenveloped 27-nm, heat-, acid-, and ether-resistant RNA virus in the Hepatovirus genus of the picornavirus family. Its virion contains four capsid polypeptides, designated VP1 to VP4. Inactivation of viral activity can be achieved by boiling for 1 minute, by contact with formaldehyde and chlorine, or by ultraviolet irradiation. Hepatitis A has an incubation period of approximately 4 weeks. Its replication is limited to the liver, but the virus is present in the liver, bile, stools, and blood during the late incubation period and acute preicteric phase of illness. Despite persistence of virus in the liver, viral shedding in feces, viremia, and infectivity diminish rapidly once jaundice becomes apparent. HAV can be cultivated reproducibly in vitro. Ref: Longo D.L., Fauci A.S., Kasper D.L., Hauser S.L., Jameson J.L., Loscalzo J. (2012). Chapter 304. Acute Viral Hepatitis. In D.L. Longo, A.S. Fauci, D.L. Kasper, S.L. Hauser, J.L. Jameson, J. Loscalzo (Eds), Harrison's Principles of Internal Medicine, 18e.